Which of the following type of immunoglobulin is associated with immunity of intestine and respiratory epithelium?
1. IgA
2. IgG
3. IgM
4. IgD

Correct answer: 1. IgA

Explanation: Secretory immunoglobulin or IgA is present in colostrum, saliva, tears, respiratory, intestinal and genital tract secretions. It prevents the attachment of organisms to mucous membranes and is therefore involved with immunity of intestinal and respiratory epithelium. IgG is the most abundant immunoglobulins in newborns, it can cross placenta. It is the predominant antibody in secondary response. IgM is the predominant antibody in primary response. IgE mediates immediate hypersensitivity and participates in host defence against parasites.